Most common translocation in acute promyelocytic leukemia (APML) is
1. t (8:14)
2. t (9:22)
3. t (15:17)
4. t (8:21)

Correct answer: 3. t (15:17)

Explanation: Answer- C, t (15:17)Acute promyelocytic leukemia (M3 by the FAB classification) is associated with a t(15;17) (q22;q11) translocation.Disseminated intravascular coagulation can occur in this disorder due to the release of procoagulant substances from the leukemic cells, especially during treatment.The t(4;11)(q21;q23) translocation is associated with acute lymphocytic leukemia (ALL) and undifferentiated leukemia.The t(6;9)(p23;q34) translocation is found in subtypes of AML with basophilia (M1, M2, M4).Burkitt's leukemia, which is related to Burkitt's lymphoma, is associated with t(8;14) (q 24;q32).The t(8;21) (q22;q22) translocation (choice D) is seen in M2 leukemia, also known as acute myeloid leukemia (AML) with maturation